All of the statements are true about Brugada syndrome, EXCEPT:
1. Transient ST segment elevation in lead V1-V3 is seen
2. Responsible for the sudden and unexpected nocturnal death syndrome
3. Risk of fatal ventricular arrhythmia is more
4. Flecainide can be used to treat

Correct answer: 4. Flecainide can be used to treat

Explanation: The major clinical features of Brugada syndrome include, transient, or concealed ST segment elevation in V1 to V3 that typically can be provoked with the sodium channel-blocking drugs flecainide, and procainamide and a risk of polymorphic ventricular arrhythmias. Ref: Harrisons Principles of Internal Medicine, 18th Edition, Page 1898.